Primary bullous lesions is seen in which type of syphilis
1. Primary
2. Secondary
3. Tertiary
4. Congential

Correct answer: 4. Congential

Explanation: D i.e. Congenital Syphilis